A 50 year old female is admitted with abdominal pain and anuria. Radiological studies reveal bilateral impacted ureteric stones with hydronephrosis. Urine analysis showed RBCs with pus cells in urine. Serum creatinine level was 16mg/dL and blood urea level was 200 mmol/L; which of the following should be the immediate treatment.
1. Lithotripsy
2. Ureteroscopic removal of stones
3. 'J' stent drainage
4. Hemodialysis

Correct answer: 3. 'J' stent drainage